Most common chronic arthritis seen in children –
1. JRA
2. Rheumatic arthritis
3. Rheumatic fever
4. Sepsis

Correct answer: 1. JRA

Explanation: Amongst the given option only JRA causes chronic arthritis in children.

Arthritis

Arthritis in children is diagnosed if -

A) There is swelling or effusion in a joint
B) There are any 2 of the following features -

Decreased ROM    
Pain 
Tenderness
Increased local temperature

Differential diagnosis of arthritis
Acute arthritis (usually <2 weeks)

Acute rheumatic fever
Transient (`toxic') synovitis
Arthritis associated with Kawasaki disease
Henoch-Schlein purpura
Septic arthritis (Staphylococcus aureus, Hemophilus influenza,
Neisseria meningitides)
Trauma

Subacute arthritis (2-6 weeks)

Reactive arthritis secondary to extra-articular infection
Arthritis associated with SLE, dermatomyositis, polyarteritis nodosa
Bone pains (? arthritis) associated with leukaemia/neuroblastoma
Arthritis associated with Lyme disease/brucellosis
Sickle cell disease, bleeding diathesis, hemarthrosis
Primary immunodeficiency’s (e.g., Bruton's hypogammaglobulinemia)

Chronic arthritis (> 6 weeks)

Juvenile rheumatoid arthritis       
Ankylosing arthritis    
Tubercular arthritis 
Legg-Calve-Perthes disease      
Psoriasis 
Inflammatory bowel disease